Vital capacity is:
1. Tidal volume + Expiratory Reserve Volume
2. Tidal volume + Inspiratory Reserve Volume
3. I.R.V. + E. R.V.
4. T.V. + I.R.V. + E.R.V.

Correct answer: 4. T.V. + I.R.V. + E.R.V.

Explanation: Ans. D. T.V. + I.R.V. + E.R.V.Lungs capacitiesVC=IRV+TV+ERVIC=IRV+TVVC=IC+ERVFRC=ERV+RV(b)TLC=IRV+TV+ERV+RVor =IC+FRVor =VC+RVFig.: Diagram showing respiratory excursions during normal breathing and during maximal inspiration and maximal expiration